Sleeping sickness is transmitted by:
1. Tsetse fly
2. House fly
3. Sand fly
4. Simulium fly

Correct answer: 1. Tsetse fly

Explanation: Ans. is 'a' i.e., Tse tse flyForms of Human African TrypanosomiasisHuman African trypanosomiasis takes 2 forms, depending on the parasite involved:Trypanosoma brucei gambiense is found in 24 countries in west and central Africa. This form currently accounts for 97% of reported cases of sleeping sickness and causes a chronic infection.Trypanosoma brucei rhodesiense is found in 13 countries in eastern and southern Africa. Nowadays, this form represents under 3% of reported cases and causes an acute infection. Only Uganda presents both forms of the disease, but in separate zones.